Which of the following is NOT included in Ranson's score for acute pancreatitis?
1. Age
2. WBC count
3. Blood glucose
4. Serum amylase

Correct answer: 4. Serum amylase

Explanation: .question repeated